Which class of antifungals inhibits the synthesis of the fungal cell wall
1. Polyene macrolides
2. Echinocandins
3. Azoles
4. Allylamines

Correct answer: 2. Echinocandins

Explanation: ECHINOCANDINS Caspofungin It is the first and the prototype member of the class, active mainly against Candida and Aspergillus mechanism of action:- It inhibits the synthesis of b-1, 3-glucan, which is a unique component of the fungal cell wall. Cross linking between chitin (a fibrillar polysaccharide) and b-1, 3-glucan gives toughness to the fungal cell wall. Weakening of the cell wall by caspofungin leads to osmotic susceptibility of fungal cell, which then succumbs. Pharmacokinetics:- Caspofungin is not absorbed orally; has to be infused i.v. It is distributed into tissues, but does not enter CSF. Metabolism is extensive and metabolites are excreted in urine as well as faeces with a plasma t 1/2 of 10 hours. uses:- Caspofungin is approved for use in deep and invasive candidiasis, esophageal candidiasis and salvage therapy of nonresponsive invasive aspergillosis. Because of good tolerability, it is now increasingly used in neutropenic immunocompromised patients whose fever is not responding to antibacterial antibiotics. Ref:- kd tripathi; pg num:-790